Inhibin-A is produced by?
1. Sertoli cell
2. Leydig cell
3. Hilus cell
4. Placenta

Correct answer: 4. Placenta

Explanation: Ans. D PlacentaRef: Ganong, 25th ed. pg. 409, 425:* Inhibin A is produced by placenta and corpus luteum. It is used in quadruple screening for prenatal detection of down Syndrome.* Inhibin B inhibits FSH in both males and females. It is produced by Sertoli cells in male and granulosa cells in female.